Neck of 1st rib is related anteriorly to all except:
1. Ascending T1 root
2. Superior intercostal artery
3. Sympathetic chain
4. 2nd posterior intercostals vein

Correct answer: 4. 2nd posterior intercostals vein

Explanation: Ans: d (2th posterior intercostal vein)Ref: Chaurasia, 3rd edi., Vol-1, Pg. 168Anteriorly neck is related from medial to lateral to1. Sympathetic chain2. First posterior intercostal vein3. Superior Intercostal artery4. First thoracic nerve.T1 Superior aspect of the shaft is related to subclavian vein and posterior groove lodges the subclavian artery and the lower trunk of the brachial plexus.